About vinca alkaloids true is ?
1. Inhibits mitotic spindle
2. Enhances polymerization of tubulin
3. Inhibits topoisomerase I
4. Inhibits topoisomerase II

Correct answer: 1. Inhibits mitotic spindle

Explanation: Ans. is 'a' i.e., Inhibits mitotic spindle Vinca alkaloids (vincristine) inhibit mitotic spindles by preventing polymerization of tubulin